Greening occurring when porcelains are fired on silver free alloys may be attributed to
1. Vaporization of silver from the walls of contaminated furnaces
2. Surface diffusion of silver from the marginal metal
3. More rapid silver diffusion in sodium containing glass
4. Silver ionization by porcelains with high oxygen potential

Correct answer: 1. Vaporization of silver from the walls of contaminated furnaces